A 48-year-old Caucasian man, diagnosed with diabetes 5 years ago, comes to the physician because of palpitations, Physical examination shows a diffuse darkening of his skin and testicular atrophy. Laboratory studies show elevated liver function and elevated blood sugars. A liver biopsy shows significantly elevated iron levels A diagnosis of hereditary hemochromatosis is made. 
Which one of the following laboratory findings is seen in hereditary hemochromatosis?
1. Decreased serum ceruloplasmin
2. Decreased serum ferritin
3. Decreased serum iron
4. Decreased total iron-binding capacity

Correct answer: 4. Decreased total iron-binding capacity